Sildenafil acts by inhibiting?
1. PDE 2
2. PDE 5
3. Adenyl cyclase
4. Gaunyl cyclase

Correct answer: 2. PDE 5

Explanation: Sidenafil, verdenafil, tadalafil acts by inhibiting PDE5 they increase NO- increases blood supply to the penis making it erect But they can produce certain cardiac events They are also used in Pul HTN Ref: KD tripathi 8th ed